An elderly man presents with a history of jaundice and pain abdomen. The investigation of choice is:
1. Ultrasound
2. 4-quadrant aspiration
3. CT scan
4. X-ray abdomen

Correct answer: 1. Ultrasound

Explanation: Ans. Ultrasound